Prausnitz-kustner (PK) reaction was used to demonstrate -
1. IgA
2. IgG
3. IgM
4. IgE

Correct answer: 4. IgE

Explanation: Ans. is 'd' i.e., IgE o IgE is homocytotropic i.e. species specific. Only human IgE can fix to the surface of human cells. This is the basis of the Prausnitz-Kustner (PK) reaction, which was the original method for detecting atopic antibody.